Poisoning which can be detected even after death in burnt body is:
1. Lead
2. Arsenic
3. Mercury
4. Dhatura

Correct answer: 2. Arsenic

Explanation: Ans. (B). Arsenic(Ref: Parikh 6th/e p. 9.9-9.11; Reddy 30th/e p. 493-494; Essentials of forensic medicine-812)Bone, hair and nails are preserved in Heavy metals poisonings like arsenic, antimony, and thallium.Distribution of Arsenic in the body:Arsenic is present in almost all tissues, and found in the greatest quantity in the liverQ, followed by kidneys and spleen.In cases, where the patient survives, it is found in the muscles (for months), bones, hair, nails and skin (Sulfhydryl groups in keratin) for years.Hair: Arsenic > 75 mg% - Poisoning.Nails: Presence of > 100 mg% of arsenic - Poisoning.